Which of the following is the first fetal bone to ossify under normal circumstances?
1. Lower end of femur
2. Clavicle
3. Upper end of humerus
4. Upper end of tibia

Correct answer: 2. Clavicle

Explanation: Ans:B.)Clavicle.Assessment of Bone Age: BoneOssification CentresClavicle,Mandible and Membranous Bones of the Skull50 days to 5 months of GestationOs Calcis(Calcaneum) and Talus22-26 weeks of gestationDistal Epiphysis of Femur31-39 weeks of gestationProximal Epiphysis of Tibia34 weeks of gestation to 5th week post-natallyCuboid36 weeks of gestation to 8th week post-natallyProximal end of Humerus37 weeks of gestation to 16 weeks post-natally